Role of marijuana in AIDS-related cachexia?
1. Euphoric
2. Psychostimulator
3. Increases appetite
4. Decrease emetic feeling

Correct answer: 3. Increases appetite

Explanation: Ans:C- Increases appetiteMarijuana or cannabis sativa contains the active principle tetrahydrocannabinol (THC), which has an appetite stimulant effect.While marijuana derivatives do not appear to reverse cachexia, they could potentially form part of a combination treatment for wasting.For example, cannabinoid drugs might be used to boost patients' food consumption while they undergo physical therapy or take medications designed to increase the proportion of lean tissues in their bodies.